The drug which may inhibit P450 for warfarin is which one of the following:
1. Cimetidine
2. Ethanol
3. Rifampicin
4. Procainamide

Correct answer: 1. Cimetidine